Cardiomyopathy may be seen in all except-
1. Duchenne muscular dystrophy
2. Friedreich's ataxia
3. Type II glycogen storage
4. Alkaptonuria

Correct answer: 4. Alkaptonuria

Explanation: Etiological classification of cardiomyopathy:
A. Primary myocardial involvement

Idiopathic (D, R, H)
Familial (D, R, H)
Eosinophilic endomyocardial disease (R)
Endomyocardial fibrosis (R)

B) Secondary myocardial involvement